All the following are example of nominal scale except-
1. Race
2. Sex
3. Iris color
4. Blood pressure

Correct answer: 4. Blood pressure

Explanation: Blood pressure comes under metric scales. Scales can be: Qualitative: Categorical scales: Nominal : eg: names of countries . Dichotomous : eg: yes/no, presence/absence. Ordinal : severity of disease: mild/moderate/severe.eg: staging of cancer, kuppusamy socioeconomic class. Quantitative: Metric scales: Interval Ratio